Cell wall of gram positive bacteria contain s-
1. Lipids
2. Aromatic amino acids
3. Teichoic acid
4. All of the above

Correct answer: 3. Teichoic acid

Explanation: Ans. is 'c' i.e., Teichoic acid Comparison of cell walls of Gram positive and Gram negative bacteria Gram positiveGram negativeThicknessThickerThinnerVariety of aminoacidsFewSeveralAromatic and Sulphur containing aminoacidsAbsentPresentLipidsAbsent or scantyPresentTeichoic acidPresentAbsent